All are true about Rt kidney except -
1. Rt renal vein is shorter then left
2. Related to duodenum
3. Rt kidney is preferred over left for transplantation
4. Rt kidney is placed at the lower level than left

Correct answer: 3. Rt kidney is preferred over left for transplantation

Explanation: The longer renal vein is with the left kidney. So more preference for transplantation is left kidney.